Morphine ?
1. Stimulates CTZ zone of medulla
2. Stimulates respiratory centre of medulla
3. Depresses CTZ zone of medulla
4. None of the above

Correct answer: 1. Stimulates CTZ zone of medulla

Explanation: Ans. is 'a' i.e., Stimulates CTZ zone of medulla